Jafferson's fracture is the fracture of -
1. Odontoid
2. C1
3. C2
4. C3

Correct answer: 2. C1

Explanation: Jafferson's fracture is the most common type offracture of atlas (1).